Deep peroneal nerve provides sensory innervation to the following?
1. Anterolateral dorsum of foot
2. Lateral part of leg
3. 1st web space
4. 5th web space

Correct answer: 3. 1st web space

Explanation: Cutaneous branch of deep peroneal nerve provides sensory innervation to the web space between the first and second toe and a small area just proximal to the first and second toe on the plantar aspect of the foot. Muscular branch supplies the tibialis anterior, extensor digitorum longus, peroneus tertius, and extensor hallucis longus. Articular branch supplies the ankle and tarsal joints.